All are dimorphic fungi except
1. Blastomyces dermatitidis
2. Histoplasma
3. Pencillium marneffi
4. Phialopora

Correct answer: 4. Phialopora

Explanation: Phialophora is a dematiaceous fungus causing phaeohyphomycosis, shows only filamentous form. Reference: Textbook of Microbiology; Baveja; 4th edition